The slogan for WHO 2005 -
1. Road safety
2. Maternal and child health
3. Aging
4. Physical activity

Correct answer: 2. Maternal and child health

Explanation: Ans. is b' i.e., Maternal & Child health Year